Enzyme deficiency in Alkaptonuria is
1. Tyrosine hydroxylase
2. Homogentisate acid oxidase
3. Phenyl alanine hydroxylase
4. Cystathione synthase

Correct answer: 2. Homogentisate acid oxidase

Explanation: B. i.e. (Homogentisate oxidase) (259 - Harper 27th)ALKAPTONURIA = lack of enzyme homogentisate oxidase enzyme most striking clinical manifestation - occurrence of dark urine black on standing in air*** Classical type Galactosemia - Galactose-1 p- uridyl transferase enzyme* Classical phenylketonuria - Phenyl alanine hydroxylase* Type I Tyrosinemia - Fumatyl acetoacetate hydrolase enzyme* Type II Tyrosinemia - Hepatic transaminase enzyme.